Ectopia cordis is associated with:
1. Lens
2. Lungs
3. Heart
4. Liver

Correct answer: 3. Heart

Explanation: Heart